Neonatal period is -
1. Upto 1 year of life
2. Upto 28 days of life
3. 28 days to 1 year of life
4. First 7 days of life

Correct answer: 2. Upto 28 days of life

Explanation: Ans. is 'b' i.e., Upto 28 days of life Childhood o Infancy upto 1 year A) Neonatal --> First 28 days of life a) Early neonatal -9 First 7 days of life b) Late neonatal -4 7 days of 28 days of life B) Post neonatal --> 28 days to 1 year o Pre-school 1-4 years o School age --> 5-14 years Perinatal period --) Period from 28th week of gestation to the seventh day after birth.